Apolipoprotein E is rich in ?
1. Lysine
2. Arginine
3. Histidine
4. Methionine

Correct answer: 2. Arginine

Explanation: Ans. is 'b' i.e., Arginine Arginine rich apo-E is isolated from VLDL.It contains arginine to the extent of 10 per cent of the total amino acids and accounts for 5 to 10 per cent of total VLDL apoproteins in normal subjects.